In a sagittal cross section of the pelvis
1. The urethra lies anterior to the upper third of the vagina
2. The urethra lies posterior to the lower third of the vagina
3. The bladder when empty lies above and anterior to the uterine body
4. The bladder when empty lies parallel and anterior to the uterine body

Correct answer: 4. The bladder when empty lies parallel and anterior to the uterine body

Explanation: - The urethra is only 3.5 cm long and is anterior to the lower third of the vagina. - The bladder when empty lies parallel and anterior to the uterine body